The commonest pancreatic tumor is:
1. Ductal adenocarcinoma
2. Cystadenoma
3. Insulinoma
4. Non islet cell tumor

Correct answer: 1. Ductal adenocarcinoma

Explanation: M/C type - Adenocarcinoma Non-specific Tumour Marker - CEA Specific Tumour Marker - CA 19.9 Chemotherapy Regimen - Gemcitabine MC site of metastasis - Liver M/C site for CA pancreas - Head > Body > Tail Neuroendocrine Tumors (NET) of Pancreas- M/C NET of Pancreases - Non-Functional (PPOMA)- M/C functional NET of Pancreas - Insulinoma- M/C functional & Malignant NET of Pancreas - Gastrinoma